Most informative test in parental identification:
1. HLA
2. Parental likeness
3. Developmental defects
4. DNA finger printing

Correct answer: 4. DNA finger printing

Explanation: Ans. D: DNA finger printing DNA profiling /DNA testing/DNA typing/genetic fingerprinting is a technique employed to assist in the identification of individuals on the basis of their respective DNA profiles. DNA profiles are encrypted sets of numbers that reflect a person's DNA makeup, which can also be used as the person's identifier. It is used in: Parental testing Rape investigation Murder Identification of mutilated remains Parental likeness, even if positive, is regarded only as corroborative